According to The Workmen's Compensation Act, 1923, which of the following is considered an occupational disease?
1. Typhoid
2. Anthrax
3. Tetanus
4. Dengue

Correct answer: 2. Anthrax

Explanation: Ans. b. Anthrax (Ref: style="font-size: 1.04761904761905em; font-family: Times New Roman, Times, serif; margin: 0 0 0 8px; text-indent: 0">According to The Workmen's Compensation Act, 1923, Anthrax is considered an occupational disease.List of Occupational Diseases as per Employee Compensation Act 1923 (Workmen Compensation Act, 1923)Part APart BPart C* Infectious and parasitic diseases contracted in an occupation where there is a particular risk of contamination (Anthrax)* Diseases caused by work in compressed air* Diseases caused by lead or its toxic compounds* Poisoning by nitrous fumes* Poisoning by organophosphorus compounds.* Diseases caused by phosphorus or its toxic compounds.* Diseases caused by mercury or its toxic compounds* Diseases caused by benzene or its toxic homologues.* Diseases caused by nitro and amido toxic derivatives of benzene or its homologues.* Diseases caused by chromium, or its toxic compounds* Diseases caused by arsenic or its toxic compounds.* Diseases caused by radioactive substances or radiations.* Primary epitheliomatous cancer of the skin, caused by tar, pitch, bitumen, mineral oil, anthracence, or the compounds, products or residues of these substances.* Disease caused by the toxic halogen derivatives of hydrocarbons (of the aliphatic and aromatic series).* Diseases caused by carbon disulphide.* Occupational cataract due to infrared radiations.* Diseases caused by manganese or its toxic compounds.* Skin diseases caused by physical, chemical or biological agents not included in other items.* Hearing impairment caused by noise.* Poisoning by dinitrophenol or a homologue or by substituted or by the salts of such substances.* Diseases caused by beryllium or its toxic compounds.* Diseases caused by cadmium or its toxic compounds.* Occupational asthma caused by recognized sensitizing agents inherent to the work process.* Diseases caused by fluorine or its toxic compounds.* Diseases caused by nitroglycerine or other nitro acid esters.* Diseases caused by alcohols and ketones.* Diseases caused by asphyxiant carbon monoxide, and its toxic derivatives, hydrogen sulphide.* Lung cancer and mesotheliomas caused by asbestos.* Primary neoplasm of the epithelial lining of the urinary bladder or the kidney or the ureter.* Snow blindness in snow bound areas.* Disease due to effect of cold in extreme cold climate.* Pneumoconiosis caused by sclerogenic mineral dust silicosis, anthracosilicosis, asbestosis) and silicotubercuiosis provided that silicosis is an essential factor in causing the resultant incapacity or death.* Bagassosis* Bronchopulmonary diseases caused by cotton, flax hemp and sisal dust (Byssinosis).* Extrinsic allergic alveolitis caused by the inhalation of organic dusts.* Bronchopulmonary disease caused by hard metals.* Acute pulmonary edema of high altitude.